Period of sickness benefit given under ESI Act
1. 41 days
2. 17 days
3. 91 days
4. 101 days

Correct answer: 3. 91 days